The efferent limb of the cremasteric reflex is provided the-
1. Femoral branch of the genitofemoral
2. Genital branch of the genitofemoral nerve
3. Ilioinguinal nerve
4. Pudendal nerve

Correct answer: 2. Genital branch of the genitofemoral nerve

Explanation: Ans. B. Genital branch of the genitofemoral nerveCremasteric Reflexa. Contraction of the cremaster muscle is elicited by lightly stroking the skin on the medial aspect of the superior part of the thigh with an applicator stick or tongue depressor. The afferent limb is ilio-inguinal nerve supplies this area of skin. Cremaster muscle is innervated by the genital branch of the genitofemoral nerve, derived from the first and second lumbar spinal nerves. The rapid elevation of the testis on the same side is the cremasteric reflex.b. This reflex is extremely active in children; consequently, hyperactive cremasteric reflexes may simulate undescended testes. A hyperactive reflex can be abolished by having the child sit in a cross-legged, squatting position; if the testes are descended, they can then be palpated in the scrotum.c. It may represent a protective reflex, and the cremaster may also have a role in testicular thermoregulation.